Most common cause of Down's syndrome is -
1. Monosomy 21
2. Trisomy 21
3. Robertsonian translocation
4. Mosaicism

Correct answer: 2. Trisomy 21

Explanation: Ans. is 'b' i.e., Trisomy 21 o Has been explained in previous sessions